Renal artery stenosis may occur in all of the following except -
1. Atherosclerosis
2. Fibromuscular dysplasia
3. Takayasu's arteritis
4. Polyarteritis nodosa

Correct answer: 4. Polyarteritis nodosa